All of the following are indications of Pneumococcal vaccine except:
1. Cochlear implant
2. International travel
3. Diabetes
4. Immunocompromised

Correct answer: 2. International travel

Explanation: Ans. B. International travelPneumococcal vaccine not recommended for international travel. Yellow fever vaccine recommended for travel to Africa and South America. Meningococcal vaccine recommended for Hajj travel.